Buruli ulcer is caused by
1. Mycobacterium ulcerans
2. Mycobacterium marinum
3. Aycobacterium kansasi
4. Mycobacterium fortuitum

Correct answer: 1. Mycobacterium ulcerans

Explanation: - Buruli ulcer is caused by atypical mycobacteria named as Mycobacteria ulcerans - Mycobacteria ulcerans- It is a water borne skin pathogen which is categorised under non - photochromogens ( Runyon's classification ) This cause lesions which are typically painless ulcers and nodules. It has narrow temp.range of 31 degree - 34 degree C